The major constituent in composite is
1. BIS-GMA and UDMA
2. Glycol and Glycidine
3. GIC and Silicate
4. Zinc oxide

Correct answer: 1. BIS-GMA and UDMA